The correlation coefficient can range from:
1. 0 to + 1
2. 0 to -1
3. -1 to +1.
4. 0 to 100

Correct answer: 3. -1 to +1.